The proportion of children in the age group of 0-6 years, (who are the beneficiaries of Integrated Child Development Service Scheme), in the population is about -
1. 6%
2. 13%
3. 20%
4. 27%

Correct answer: 2. 13%

Explanation: Integrated Child Development Services (ICDS) is a government programme in India which provides food, preschool education, primary healthcare, immunization, health check-up and referral services to children under 6 years of age and their mothers.The scheme was launched in 1975, discontinued in 1978 by the government of Morarji Desai, and then relaunched by the Tenth Five Year Plan. About 12-14% of children of age 0-6 years are eligible for this scheme The following services are sponsored under ICDS to help achieve its objectives: Immunization Supplementary nutrition Health checkup Referral services Pre-school education(Non-Formal) Nutrition and Health information Ref: Internet